An incipient carious lesion on an inter proximal surface
is usually located
1. At the contact area
2. Facial to contact area
3. Gingival to contact area
4. Lingual to contact area

Correct answer: 3. Gingival to contact area